All of the following are true about rib fractures except:
1. Most common rib fractured during CPR: 4th-6th rib
2. Fracture of 11th, 12th & first rib fracture is uncommon
3. In flail chest, two or more consecutive ribs fractured in two or more places
4. Intermittent positive pressure ventilation is the preferred treatment for the flail chest

Correct answer: 4. Intermittent positive pressure ventilation is the preferred treatment for the flail chest

Explanation: Treatment: - Chest strapping or splinting should be avoided. - Current Treatment consists of oxygen administration, adequation analgesia (including opiates) or epidural analgesia & Physiotherapy - IPPV (Intermittent positive pressure ventilation) is reserved for cases developing respiratory failure despite adequate analgesia & oxygen)